Aeroplane splint is used for -
1. Conservative management of proximal humerus fractures
2. CTEV
3. Axillary nerve palsy
4. Brachial plexus injury

Correct answer: 4. Brachial plexus injury

Explanation: Ans. is 'd' i.e., Brachial plexus injury COMMON SPLINTS USED IN UPPER LIMBSPLINTINDICATIONAeroplane splintBrachial plexus InjuryKnuckle Bender SplintUlnar nerve InjuryCock up splintRadial nerve injuryFunctional Humeral braceHumerus shaft fracturesVolksmann's SplintVolksmanns Ischaemic Contracture (VIC)